A lady with abdominal mass was investigated. She was found to have bilateral ovarian masses with smooth surface. On microscopy they revealed cells with signet ring shapes. Diagnosis is-
1. Dysgerminoma
2. Krukenberg tumour
3. Primary Adenocarcinoma of the ovaries
4. Epithelial ovarian tumour

Correct answer: 2. Krukenberg tumour

Explanation: Ans. is 'b' i.e., Krukenberg tumour Krukenberg Tumor* Accounts for 30-40% of metastatic CAs to the ovary.* Arises in the ovarian stroma and has characteristic mucin-filled signet ring cells.* The primary is most frequently located in the stomach and less commonly in the colon, breast, or biliary tract. Rarely, the cervix and bladder may be the primary site.* They are usually bilateral and discovered when the primary is well advanced and hence survival is very poor.* Treatment of primary carcinoma does not revert to Krukenberg tumor.* The ovaries are enlarged and have a smooth surface.* The shape of the ovary is maintained.* There is no tendency of adhesion and the capsule remains intact.* Cut surface shows waxy consistency with cystic spaces due to degeneration.